All are seen in sickle cell anemia except ?
1. Target cells
2. Jaundice
3. Reticulocytosis
4. High hematocrit

Correct answer: 4. High hematocrit

Explanation: Ans. is 'd' i.e., High hematocrit